Most prevalent incidentaloma is:
1. Cushing's adenoma
2. Pheochromocytoma
3. Adrenocortical carcinoma
4. Non-functioning adenoma

Correct answer: 4. Non-functioning adenoma

Explanation: Adrenal Incidentaloma- - Incidentally detected adrenal mass through imaging performed for unrelated disease Nonfunctioning adenoma - 82% of incidentalomas Preclinical cushing - 5% Pheochromocytoma - 5% Adrenocortical Ca - 5% Metastatic Ca - 2% Aldosterone producing adenoma - 1%